Culture medium for campylobactor jejuni ?
1. BYCE medium
2. Skirrow's medium
3. Thayer-Martin medium
4. TCBS medium

Correct answer: 2. Skirrow's medium

Explanation: Ans. is 'b' i.e., Skirrow's medium